All of the following are surgical options for morbid obesity except -
1. Adjustable gastric banding
2. Biliopancreatic diversion
3. Duodenal Switch
4. Roux en Y Duodenal By pass

Correct answer: 4. Roux en Y Duodenal By pass

Explanation: Ans. is 'd' i.e., Roux en Y Duodenal Bypass Bariatric surgical procedures include:a. Vertical banded gastroplastyb. Adjustable gastric bandingc. Roux-en Y gastric bypass (Not - Roux-en Y Duodenal Bypass)d. Biliopancreatic diversione. Duodenal switcho The surgical treatment of morbid obesity is known as bariatric surgery.o Morbid obesity is defined as body mass index of 35 kg/m2 or more with obesity related comorbidity, or BMI of 40 kg/m2 or greater without comorbidity.o Bariatric operations produce weight loss as a result of 2 factors. One is restriction of oralintake. The other is malabsorbtion of ingested food.o Gastric restrictive procedures include Vertical banded gastroplasty & Adjustable gastric bandingo Malabsorbtive procedures include Biliopancreatic diversion, and Duodenal switcho Roux-en Y gastric bypass has features of both restriction and malabsorptionBariatric Operations: Mechanism of ActionRestrictiveVertical banded gastroplastyLaparoscopic adjustable gastric bandingLargely Restrictive/Mildly MalabsorptiveRoux-en-Y gastric bypassLargely Malabsorptive/Mildly RestrictiveBiliopancreatic diversionDuodenal switch